The following are true of kala-azar except -
1. Persistent hypergammaglobulinemia
2. Pancytopenia
3. Cancrum oris can occur
4. Full treatment prevents post kala-azar dermal leishmaniasis

Correct answer: 4. Full treatment prevents post kala-azar dermal leishmaniasis